Major contribution in the formation of the nasal septum is by all except -
1. Septal cartilage
2. Vomer
3. Ethmoid
4. Nasal bone

Correct answer: 4. Nasal bone

Explanation: Ans. is 'd' i.e., Nasal bone o The nasal septum is the osseocartilaginous partition between the two halves of the nasal cavity.o Nasal septum consists of:-Columellar septum It is formed by columella containing the medial crura of alar cartilages united together by fibrous tissue.Membranous septum It consists of a double layer of skin with no bony or cartilaginous support.Septum proper This forms the major portion of the nasal septum and consists of osteocartilaginous framework which is covered by mucous membrane. Its constituents areOsseous part* The vomer# Nasal crest of nasal bone* Perpendicular plate of the ethmoid# Nasal crest of palatine bone* Nasal spine of the frontal bone# Nasal crest of maxillary bone* Rostrum and crest of sphenoid Cartilaginous partSeptal (Quadrilateral) cartilageo Amongst all above, the nasal septum is mainly formed by vomer, perpendicular plate of ethmoid and septal cartilage.